Marker enzyme for plasma membrane is:
1. 5'Nucleotidase
2. Catalase
3. Acid Phosphatase
4. GGT

Correct answer: 1. 5'Nucleotidase

Explanation: Ans. A. 5'NucleotidaseMembrane/organelleMarker enzymesPlasma Membrane5'-Nucleotidase Adenylyl Cyclase Na+-K+ ATPaseEndoplasmic reticulumGlucose-6-phosphataseGolgi ComplexGalactosyl TransferaseQInner Mitochondrial Membrane ATP SynthasePeroxisomeCatalase, Urate OxidaseLysosomesAcid PhosphataseCytoplasmLactate Dehydrogenase